Water lily appearance in chest X-ray suggestive of:
1. Bronchiectasis
2. Bronchopleural fistula
3. Hydatid cyst
4. Sequestration cyst of lung

Correct answer: 3. Hydatid cyst

Explanation: Hydatid cyst is caused by the parasite echinococcus granulosus. It is often associated with hydatid cyst of liver.It is usually single buy multiple hydatis cysts can occur. In chest X-ray a dense homogenous opacity can be seen. A collapsed laminated membrane produces an irregular projections in a fluid level due to rupture of the cyst which shows a characteristic 'water lily' appearance on chest X-ray. Ref : Tsung A. (2010). Chapter 31. Liver. In T.R. Billiar, D.L. Dunn (Eds), Schwartz's Principles of Surgery, 9e.